Muscle relaxant contraindicated in Renal failure
1. Gallamine
2. d-TC
3. Vecuronium
4. Atracurium

Correct answer: 1. Gallamine

Explanation: Gallamine is the muscle relaxant that entirely depends on renal excretion. and metocurine is also contraindicated in renal failure.